Which of the following is false regarding first degree burns
1. Pain is the chief symptom
2. Blister formation
3. Protective functions of skin are intact
4. No residual scar

Correct answer: 2. Blister formation

Explanation: First degree burns: Involves only epidermis, painful but donot blister, protective functions are intact as nd heals without scar Second degree burns: Dermal involvement and are extremely painful with weeping and blisters Third degree burns: Leathery, painless and non blanching